Sex can be established by examining hair root cells for the presence of:
1. Davidson body
2. Barr body
3. Golgi body
4. Medullary index

Correct answer: 2. Barr body

Explanation: Barr body